The following is the commonest site for venous ulcer
1. Sole of foot
2. Lower 2/3 of leg
3. Lower 1/3 of leg and ankle
4. Middle 1/3 of leg

Correct answer: 3. Lower 1/3 of leg and ankle

Explanation: Venous ulcers usually lie just proximal to the medial or lateral malleolus. Venous ulcers are accompanied by lipodermatosclerosis and hemosiderosis (if these are not present then the ulcer is probably not of venous origin). Ref : Bailey & Love 25/e p937